All of the following factors alters buccinator mechanism EXCEPT
1. Mouth breathing
2. Thumb sucking
3. Tongue thrusting
4. None of the above

Correct answer: 4. None of the above

Explanation: Habits that alter the buccinator mechanism are

Mouth breathing
Thumb/Finger sucking
Tongue Thrusting
Lip/Nail Biting